A drug that is effective for rheumatoid arthritis but is not appropriate for osteoarthritis is :
1. Acetaminophen
2. Infliximab
3. Ketorolac
4. Rofecoxib

Correct answer: 2. Infliximab